Rhinophyma complicates –
1. Acne vulgaris
2. Acne rosacea
3. Psoriasis
4. Pemphigus

Correct answer: 2. Acne rosacea

Explanation: Rhinophyma is slowly progressive condition due to hypertrophy of the sebaceous gland of the tip of nose often seen in cases of long standing acne rosacea.